Homonymous hemianopia with macular sparing is seen in
1. Lesions of visual cortex
2. Lesion of optic radiations
3. Lesion of lateral geniculate body
4. All the above

Correct answer: 1. Lesions of visual cortex

Explanation: Visual cortex lesion:-

Homonymous hemianopia congrous type.
Macular sparing is due to double blood supply.